Which of the following is true about testis
1. Ectodermal in origin
2. Gubemaculum is attached to the caudal end of testis
3. Surrounded by peritoneal tunica albuginea
4. Reach scrotum at 28th weeks of gestation

Correct answer: 2. Gubemaculum is attached to the caudal end of testis

Explanation: Ans. b. Gubernaculum is attached to the caudal end of testisGubernaculum is attached to the caudal end of testisExtending from the caudal pole of testis is a mesenchymal condensation rich in extracellular matrices, the gubernaculum Descent of TestisTowards the end of 2nd month the urogenital mesentery attaches the testis and mesonephros to the posterior abdominal wall with the degeneration of mesonephros, the attachment serves as a mesentery for gonad.Caudally, it become ligamentous and called as caudal genital ligamentdegAlso extending from the caudal pole of testis is a mesenchymal condensation rich in extracellular matrices, the gubernaculumdegTestis reach the inguinal region by 12th weekdeg of gestation, migrate through the inguinal canal by 28th weekdeg and reach the scrotum by 33" weekdegIndependently from the descent of the testis, the peritoneum of the abdominal cavity forms an evagination on each side of midline into the ventral abdominal wall. This evagination, the processus vaginalis follow the course of gubemaculum testis into the scrotal swelling. Hence, the processus vaginalis accompanied by muscular and fascia! layer of the body wall evaginates into the scrotal swelling, forming the inguinal canaldeg.Excretory units of the urinary system and the gonads develop from intermediate mesodermdeg.